Clinical Haemophilia is characterized by ?
(BT-Bleeding
Time, CT Clotting Time, PT — Prothrombin time, PTT
Partial thromboplastin time):
1. Prolonged PT and normal BT
2. Prolonged BT, PT and PTT
3. Normal BT and PT and prolonged PTT
4. Prolonged BT and normal CT, PT and PTT

Correct answer: 3. Normal BT and PT and prolonged PTT